In deltoid paralysis, which nerve is involved -a) Circumflex Nb) Musculocutaneous Nc) Axillary Nd) Radial N
1. ab
2. ac
3. ad
4. bc

Correct answer: 2. ac

Explanation: Other name of axillary nerve is circumflex nerve.